Differentiating features between neurosis and psychosis, In psychosis
1. Insight is preserved
2. Lack of insight
3. Personality and behavior preserved
4. None

Correct answer: 2. Lack of insight

Explanation: Psychosis is defined as gross impairment in reality testing Marked disturbance in personality, with impairment in social, interpersonal and occupational functioning Marked impairment in judgement and absent understanding of the current symptoms and behaviour(loss of insight) Presence of the characteristic symptoms like delusions and hallucinations. (Ref: a short textbook of psychiatry, Niraj Ahuja,7th edition, page no.83)